The following is used in treatment of achalasia cardia:
1. Botox
2. Antibiotic
3. Digoxin
4. All

Correct answer: 1. Botox

Explanation: Botax is derived from botulinum toxin it prevents exocytosis of acetyl choline at synapse hence causes flaccid paralysis